Lateral pressure theory for tongue thrust habit was given by:
1. Finn
2. Bridgeman
3. Benjamin
4. Pinkham

Correct answer: 2. Bridgeman

Explanation: Bridgeman put forward the lateral pressure theory for tongue thrust habit in 1859.